Mammary gland is a type of ?
1. Modified sweat gland
2. Ceruminous gland
3. Sebaceous gland
4. None of the above

Correct answer: 1. Modified sweat gland

Explanation: Ans. is 'a' i.e., Modified sweat gland